Seabrocks operation is done for
1. Parotid fistula
2. Thyroglossal fistula
3. Thyroglossal cyst
4. Branchial fistula

Correct answer: 1. Parotid fistula

Explanation: Ans. (a) Parotid FistulaRef: SRB Manual of surgery, 4th ed p-438-39* Parotid fistula usually results following surgery or Trauma or infection* Fistulas from Parotid gland usually heals* Fistulas from duct wont heal and will need Newman and Seabrook operation - reconstruction of duct by double cannulation.